cotards syndrome is -
1. delusion of love
2. delusion of nihilism
3. delusion of infedility
4. delusion of persection

Correct answer: 2. delusion of nihilism

Explanation: * Cotards syndrome o Nihilistic delusion o Seen in depression o They believe that their organs do not function, the world does not exist Ref. Kaplon and Sadock, synopsis of psychiatry, 11 th edition, pg no.333